What is the acceptable limit of bacterial count in an OT for neurosurgery?
1. 50 per cubic feet
2. 1 per cubic feet
3. 10 per cubic feet
4. 5 per cubic feet

Correct answer: 2. 1 per cubic feet

Explanation: Bacterial exam of air is done by Various methods and upper limits in surgical theatres are 10 per cubic feet and 1 per cubic feet in surgical OT for neurosurgery Ref: Textbook of Microbiology Baveja 5th ed Pg 636